Which of the following lifestyle modifications you should not advise to a GERD patient
1. Avoiding fatty, spicy, chocolate
2. Small frequent meals
3. Last meal should be within 2 hours of going to bed
4. Head end elevation of the bed

Correct answer: 3. Last meal should be within 2 hours of going to bed

Explanation: Last meal should be no less than 2 hours before going to bed